Which of the following is a dynamic cause of intestinal obstruction:
1. Gall stone
2. Paralytic ileus
3. Mesenteric vascular obstruction
4. Ogilvie syndrome

Correct answer: 1. Gall stone

Explanation: Ans. A: Gall stoneGall stone causes dynamic ileus (intraluminal cause)Adynamic cause of intestinal obstruction includes 1) paralytic ileus, 2) mesenteric vascular occlusion and 3) pseudo-obstructOgilvie's syndrome is acute colonic pseudo-obstruction